Drugs used for prophylaxis in BPD -a) Chlorpromazineb) Lithiumc) Carbamazepined) Zolpideme) Sodium valproate
1. ab
2. bc
3. bce
4. ace

Correct answer: 3. bce

Explanation: Three drugs are commonly used for maintenance treatment to prevent recurrence of BPD:- Lithium (DOC), Valproate, and Carbanzezapine. Topiramate and Gabapentine can also be used.